Quinine induced thrombocytopenia is -
1. Antibody mediated
2. Dose related toxicity
3. Idiosyncratic reaction
4. Inhibits production of platelets

Correct answer: 1. Antibody mediated

Explanation: Ans. is 'a' i.e., Antibody mediated o Quinine cause immune mediated thrombocytopenia.